Blood brain barrier is formed by?
1. Foot processes of astrocytes and endothelial cells
2. Foot processes of oligodendrocytes and endothelial cells
3. Foot process of microglia and endothelia cells
4. Foot process of glial cells and endothelial cells

Correct answer: 1. Foot processes of astrocytes and endothelial cells

Explanation: Ans. (a) Foot processes of astrocytes and endothelial cells